Which of the following statements about paroxysmal cold hemoglobinuria is NOT true -
1. Chronic autoimmune form responds well to splenectomy
2. Results from formation of Donath-Landsteiner antibody
3. Attacks are associated with hemoglobinuria
4. Can occur secondary to syphilis

Correct answer: 1. Chronic autoimmune form responds well to splenectomy